Mechanism of cyanide poisoning?
1. Inhibition of cytochrome C
2. Inhibition of complex I
3. Inhibition of carbonic anhydrase
4. Inhibition of cytochrome oxidase.

Correct answer: 4. Inhibition of cytochrome oxidase.

Explanation: Complex IV is also called cytochrome oxidase. Inhibitors are carbon monoxide, cyanide, Hydrogen sulphide, Sodium Azide.